Which of the following is a pro kinetic drug-
1. Domperidone
2. Cimetidine
3. Ondansetron
4. Hyoscine

Correct answer: 1. Domperidone

Explanation: Ans. is 'a' i.e., Domperidone Gastrokinetk (prokinetic drugs)o These are the drugs which promote gastrointestinal transit and speed gastric emptying by enhancing coordinated propulsive motility.o Prokinetic drugs are - Metoclopramide, Domperidone, Cisapride, Mosapride, Tegaserod, renzapride, prucatopride.Pathophysiology of gastrokinetic drugs:o Acetylcholine is the major neurotransmitter in the GIT which is responsible for the peristaltic movement,o Its secretion is affected by other neurotransmitter also -1. Activation of prejunctional excitatory 5-HT, receptors increases the release of Ach.2. Activation of prejunctional inhibitory D2 and 5-HT. receptors inhibits the release of Ach.o So, prokinetic drugs can act by -1. 5HT4 agonistic activity2. D2 and 5-HT3 antagonistic activityo Both these action will increase the release of Ach and there by motility of GIT.